Commonest cause for acute otitis media in children is
1. H influenza
2. S pneumonia
3. S aureus
4. Pseudomonas

Correct answer: 2. S pneumonia

Explanation: Most common organisms in infants and young children are Streptococcus pneumonia (30 c/o ), Haemophilus influenza(20%) and Moraxella catarrhalis(12%). Other organisms include Streptococcus pyogenes, Staphylococcus aureus and sometimes Pseudomonas aeruginosa. (Ref: Textbook of diseases of ENT, PL Dhingra, 7th edition, pg no. 67)